Sclerotherapy for varicose vein is contraindicated in the following condition:
1. Varicose ulcers
2. Deep vein Thrombosis
3. Pigmentation Over limb
4. Hemorrhoids

Correct answer: 2. Deep vein Thrombosis

Explanation: Indications and Contraindications for Sclerotherapy: Indications Contraindications Pain Reflux at saphenofemoral or saphenopopliteal junction Major tributaries of greater and lesser saphenous veins Nonambulatory patient Major perforator reflux Obesity Lateral venous system varicosities Deep venous thrombosis Cosmetic Known allergy to sclerosing agent Arterial obstruction Pregnancy Ref: Weiss R.A., Weiss M.A. (2012). Chapter 249. Treatment for Varicose and Telangiectatic Leg Veins. In K. Wolff (Ed), Fitzpatrick's Dermatology in General Medicine, 8e.